All of the following are branches of splenic Artery, Except.
1. Short Gastric Artery
2. Hilar branches
3. Right Gastroepiploic Artery
4. Arteria Pancreatica Magna

Correct answer: 3. Right Gastroepiploic Artery

Explanation: C i.e. Right Gastroepiploic Artery